Dukoral is:
1. Oral cholera vaccine
2. Oral rotavirus vaccine
3. Oral typhoid vaccine
4. Ready to use therapeutic food

Correct answer: 1. Oral cholera vaccine

Explanation: Dukoral is a monovalent cholera vaccine based on formalin and heat killed whole cells of vibrio cholerae 01 plus recombinant cholera toxin B subunit. Ref: Park 21st edition, page 211.